Enucleation of the eyeball is contraindicated in-
1. Endophthalmitis
2. Panophthalmitis
3. Intraocular tumours
4. Painful blind eye

Correct answer: 2. Panophthalmitis

Explanation: *Enucleation is contraindicated :- 1) After the onset of sympathetic ophthalmia. 2) Panophthalmitis :- Infection can spread the cut ends of optic nerve sheath causing meningitis. Ref: Khurana 7th/e p.632